Commonest complication of chronic gastric ulcer is which of the following?
1. Adenocarcinoma
2. Perforation
3. Lymphoma
4. Haematenesis

Correct answer: 4. Haematenesis

Explanation: GI bleed is the commonest complication of acute or chronic gastric ulcer. Outlet obstruction is the least commonest complication.